Which is not a fungus -
1. Rhinosporidiosis
2. Sporotrichosis
3. Torulosis
4. Candidiasis

Correct answer: 1. Rhinosporidiosis